Frotteurism is -
1. Sexual pleasure is obtained by witnessing the act of urination
2. Sexual gratification by rubbing private parts
3. Sexual practise involving three people
4. None

Correct answer: 2. Sexual gratification by rubbing private parts